Righting reflex is a ?
1. Cochlear reflex
2. Spinal reflex
3. Vestibular reflex
4. None of the above

Correct answer: 3. Vestibular reflex

Explanation: Ans. is 'c' i.e., Vestibular reflex Vestibular reflexesThe information collected by vestibular apparatus leads mainly to reflex adjustment in posture and eye movements.Vestibular reflexes are -Tonic labyrinthine reflexRighting reflex (labyrinthine righting reflex)Visual reflex vestibulo-ocular reFlex)